Not a barrier contraceptive among the following is :
1. Diaphragm
2. Centchroman
3. Condom
4. Today

Correct answer: 2. Centchroman

Explanation: Centchroman Non-hormonal contraceptive pill It is a selective estrogen receptor modulator Centchroman is a synthetic nonsteroidal contraceptive taken as a 30 mg tablet, started on the first day of menses and taken twice weekly for 12 weeks and weekly thereafter (half-life is 170 h). It does not prevent ovulation. It prevents implantation through endometrial changes. Centchroman is not teratogenic or carcinogenic, exerts no pharmacological effect on other organs. The only side effect noted is prolonged cycles and oligomenorrhoea in 8% cases. This is due to prolonged proliferative phase. Pregnancy rate is 1.83 per 100 woman years. The drug can also be used as a postcoital pill, given in 60 mg dose within 24 h of coitus (two tablets repeated 12 h later with failure rate of 1%). It has been developed by Central Drug Research Institute, Lucknow, and has been released in India under the name of Saheli. side effects ---Headache, nausea, vomiting. ---Gain in weight. ---Does not protect against HIV and STD. ---Some delay in return of fertility (up to 6 months). ---Prolonged use--hyperplasia and atypical endometrium. contraindications ---During 6 months of lactation. ---PCOD, hepatic dysfunction, cervical dysplasia, allergy to the drug. Reference: Shaw's Textbook of Gynaecology 16th edition page 278,279